Which one of the following drugs is an antipseudomonal penicillin?
1. Cephalexin
2. Cloxacillin
3. Pieperacillin
4. Dicloxacillin

Correct answer: 3. Pieperacillin

Explanation: This antipseudomonal penicillin is about 8 times more active than carbenicillin. It has good activity against Klebsiella and is used mainly in neutropenic/immunocompromised patients having serious gram-negative infections, and in burns. ESSENTIALS OF MEDICAL PHARMACOLOGY page no 724